Increased anion gap acidosis is seen in -a) DKAb) RTA c) ARFd) Organic aciduriae) Diarrhoea
1. acd
2. bde
3. cde
4. ade

Correct answer: 1. acd